Intercalary staphyloma:
1. Sloughing corneal ulcer
2. Degenerative high myopia
3. Bulge in limbal area lined by root of iris
4. Penetrating injuries

Correct answer: 3. Bulge in limbal area lined by root of iris

Explanation: Ans. (c) Bulge in limbal area lined by root of irisRef: A.K. Khurana 6th ed. /144* Intercalary staphyloma is a localized ectasia of limbal tissue lined by the root of iris.* Cause: perforating injury of the peripheral cornea or perforation of marginal corneal ulcer.Also Know* Anterior staphyloma: formation of pseudo cornea after perforation of a large sloughing corneal ulcer.* Ciliary staphyloma: incarceration of ciliary body and is arises due to complication of scleritis.* Equatorial staphyloma: the ectasia of the sclera of equatorial region with incarceration of the choroid is known as equatorial staphyloma.* Posterior staphyloma is an ectasia of the sclera at the posterior pole which is lined by the choroid.